Oneiroid state is:
1. Twilight state
2. Dream like state
3. Heightened state of consciousness
4. Organic stupor or torpor

Correct answer: 2. Dream like state

Explanation: Oneiroid state - Dream like state in which patient is very confused and unaware about time and place Twilight sate - Disturbed consciousness with hallucination Stupor - Decrease response to stimuli